Which of the following is a disease transmitted by soft tick
1. Tick typhus
2. Tularemia
3. Tick fevers
4. Relapsing fever

Correct answer: 4. Relapsing fever